Branches of brachial artery are all except ?
1. Profunda brachii
2. Superior ulnar collateral
3. Inferior ulnar collateral
4. Radial collateral

Correct answer: 4. Radial collateral

Explanation: Ans. is 'd' i.e., Radial collateralo Radial collateral is a branch ofprofimda branchii artery, which in turn is a branch of brachial artery (Radial collateral artery is not a direct branch of brachial artery).Brachial artery o It begins as a continuation of axillary artery at level of lower border of teres major muscles. It terminates in the cubital fossa, opposite the level of neck of radius by dividing into radial and ulnar arteries. It gives following branches?1. Profunda brachii :- Accompanies radial nerve in the spiral groove and gives following branches?Deltoid branch (ascending branch) :- It anastomoses with the descending branch of posterior circumflex humeral artery.Nutrient artery to humerus:Muscular branchesPosterior descending (middle collateral) :- It anastomoses with interosseous recurrent branch of ulnar artery.Anterior descending (radial collateral) :It anastomoses with radial recurrent branch of radial artery in front of lateral epicondyle.2. Superior ulnar collateral artery :-Anastomoses with posterior ulnar recurrent branch of ulnar artery behind medial epicondyle.3. Muscular branches4. Inferior ulnar collateral (Supratrochlear artery) :- Anastomoses with anterior ulnar recurrent branch of ulnar artery in front of medial epicondyle.